Test used for detection of blood are all except ?
1. Benzidine test
2. Phenophthalein test
3. Ohotoluidine test
4. Rcine's test

Correct answer: 4. Rcine's test

Explanation: Ans. is `d' i.e., Reine's test Nature of stain (whether the stain is blood or not) To determine the nature of stain, following tests are used :? 1) Chemical tests These tests are based on the peroxidase activity of haematin, which is, derived from oxidation of haem of haemoglobin or methemoglobin,present. This enzyme, in the presence of hydrogen peroxide converts colourless salts into coloured bases. Thus these tests are based on H2O2 and peroxidase enzyme. Tests are :- i) Benzidine test : Greenish blue colour. Phenolphthalein test (kastle myere test) : Deep permanganate colour. Leucomalachite green test : Bluish green or peacock blue colour. Guaiacum test : Blue colour. Orthotoludine test (kohn test) : Blue or green colour. Amidopyrine test : Purple colour. 2) Microchemical tests These tests are based on property of haem part of hemoglobin to form characteristic coloured crystals. The tests are :? Teichmann's haemin crystal test. Takayama hemochromogen crystal test. Luminal spray test: It is especially useful in old obscure blood stains. 3) Spetroscopy It is most delicate and reliable test. It is based on the principle that hemoglobin and its derivatives give characteristic absorption bands when viewed through a spectroscope.